While operating upon strangulated hernia, the sac is opened at:
1. Neck
2. Body
3. Fundus
4. Mouth

Correct answer: 3. Fundus

Explanation: Ans. C: Fundus Strangulated hernias refer to hernias that have their blood supply cut off. When this occurs, any tissue in the hernia, such as intestines, can become ischemic and die quickly. This means that quick surgery is imperative to save the herniated tissue. Strangulated hernias can be differentiated from regular hernias in that they are irreducible, are always painful, are tender to the touch, and sometimes are accompanied by symptoms of nausea, vomiting and fever. The treatment of strangulated hernia is by emergency operation. Body and fundus of the sac together with its coverings is delivered. Each layer covering the anterior surface of the body of the sac near the fundus is incised and stripped off the sac and then the sac is incised.